How many teeth are present in 3 year old ___________
1. 8 teeth
2. 12 teeth
3. 18 teeth
4. 20 teeth

Correct answer: 4. 20 teeth

Explanation: After that first tooth breaks through, more and more teeth begin to appear. Most kids have their first set of teeth by the time they are 3 years old. These are called the primaryteeth, baby teeth, or milk teeth and there are 20 in all. When a child gets to age 5 or 6, these teeth start falling out, one by one. Ref : Nelson paediatrics Chapter : Growth and de